Bevelling of inner table of skull is found in -
1. Fire arm entry wound
2. Fire arm exit wound
3. Drowning
4. Infanticide

Correct answer: 1. Fire arm entry wound